All of the following are recognised features of Wilson\'s disease except –
1. Psychological distrubances
2. Increased cerulplasmin levels
3. Increased copper content of liver
4. Histopathological features of chronic active hepatitis

Correct answer: 2. Increased cerulplasmin levels

Explanation: Ceruloplasmin level decreases.